First step in management of raised intracranial pressure
1. Airway maintainance
2. Breathing
3. iv mannitol
4. Loading dose of epsolin

Correct answer: 1. Airway maintainance

Explanation: Answer- A. Airway maintainanceABC is followed i.e. Airway Breathing then Circulation is evaluated in order.